Trauma cases of which area use FAST technique to detect blood?
1. Pericardial
2. Splenic
3. Hepatic
4. All of the above

Correct answer: 4. All of the above

Explanation: FAST is a technique whereby ultrasound imaging is used to assess the torso for the presence of blood, either in the abdominal cavity or in the pericardium. The purpose of the ultrasound evaluation of the injured casualty is to determine the presence of free intra-abdominal or pericardial fluid.